Facial nerve palsy at stylomastoid canal can cause -
1. Hperacusis
2. Loss of corneal reflex at side of lesion
3. Loss of lacrimalion at side of lesion.
4. Loss of taste sensation on anterior 2/3 of ipsilateral tongue

Correct answer: 2. Loss of corneal reflex at side of lesion